One of the following is the first enzyme to be released at the site of wound?
1. Aminopeptidase
2. ATPase
3. Acid phosphatase
4. Alkaline phosphatase

Correct answer: 2. ATPase

Explanation: Ref - Krishan Vij textbook of forensic medicine and toxicology 5e pg - 202